Mandatory washing of hands by a physician after examining each patient can reduce the incidence of iatrogenic infections. This is an example of:
1. Terminal disinfection
2. Concurrent disinfection
3. Pre-current disinfection
4. Post-current disinfection

Correct answer: 3. Pre-current disinfection

Explanation: Pre-current disinfection is prophylactic disinfection. Chlorination of water, pasteurisation of milk and washing of hands are some examples for it. Terminal disinfection is applied after the patient has been removed or has ceased to be a source of infection. Concurrent disinfection is the application of disinfective measures as soon as possible after the discharge of infectious material occurs. Eg. Vomiting, passing faces etc. Ref: Park, Edition 21, Page 117